Punctuate yellow exudates in colon, found on endoscopic examiantion are indicative of
1. Balantidium coli
2. Ulceratice colitis
3. Antibiotic colitis
4. Gluten induced enteropathy

Correct answer: 3. Antibiotic colitis